A 16 year old girl with height 5 inches present with primary amenorrhea and rising FSH .The histological finding most consisitent with her conditions is :
1. Low or absent oocyte in ovary
2. Corpus luteal hemorrhage
3. adrenal hyperplasia
4. Pituitary Apoplexy

Correct answer: 1. Low or absent oocyte in ovary

Explanation: Hypergonadotrophic Primary Amenorrhea Causes Abnormal sex chromosomes: 45,OX, Abnormal X Normal sex chromosomes: 46 XX Pure gonadal dysgenesis, Swyer's syndrome, Savage syndrome Charecteristics Gonadal failure These women have streak ovaries with absence of ovarian follicles No estrogen production Elevated levels of FSH Progesterone challenge test is negative Ref: SHAW'S TEXTBOOK OF GYNAECOLOGY; 15th edition; Pg no:286